Most common nerve injured in ligation of superior thyroid artery:
1. Recurrent laryngeal nerve
2. Facial nerve
3. Mandibular nerve
4. External laryngeal nerve

Correct answer: 4. External laryngeal nerve

Explanation: The external laryngeal nerve lies in relation to superior thyroid artery. The recurrent laryngeal nerve lies close to inferior thyroid artery.